Hyperbaric oxygen is not useful in?
1. Anemia
2. Vertigo
3. Gas gangrene
4. Compartment Syndrome

Correct answer: 2. Vertigo

Explanation: Ans. is 'b' i.e., Vertigo